Histamine is formed by ___ of histidine
1. Methylation
2. Reduction
3. Oxidation
4. Decarboxylation

Correct answer: 4. Decarboxylation